In the conventional finger rest, the finger rest is established on the
1. Other side of the same arch
2. Tooth surface immediately adjacent to the working area
3. Opposing arch
4. Index finger or thumb of the non operating hand

Correct answer: 2. Tooth surface immediately adjacent to the working area